Heller’s cardiomyotomy done for:
1. CHPS
2. Achalasia
3. GERD
4. Duodenal stenosis

Correct answer: 2. Achalasia

Explanation: Ref. API Textbook of Medicine. Pg. 1099
 
Management of achlasia cardia

1st line: calcium channel blockers
2 nd line: Pneumatic dilatation
3rd line: surgery -Hellers cardiomyotomy - it involves cutting the lower oesophgus and cardia.
The major complication is Gastroesophageal reflux and therefore additional Partial anterior fundoplication is done H(ellers -Dorr operation)
Botulinum toxin injection is used in recurrent cases of achalasia cardia